Triad of Renal colic, Swelling in loin which disappears after passing urine is called -
1. Kocher's triad
2. Saint's triad
3. Dietel's crisis
4. Charcot's triad

Correct answer: 3. Dietel's crisis

Explanation: Dietel's crisis : After an attack of acute renal pain, a swelling in the loin is found. Some hours later, following the passage of large amounts of urine, the pain is relieved and swelling disappears. Ref : Bailey 25/e p1293